The primary principle of treating endodontic periapical lesions is
1. To eradicate irritants in the root canal system
2. To reduce the inflammation in the periapex
3. To maintain the health of the periodontium
4. To relieve the symptoms

Correct answer: 1. To eradicate irritants in the root canal system